Shaking palsy is associated with poisoning with :
1. Lead
2. Mercury
3. Arsenic
4. Strontium

Correct answer: 2. Mercury

Explanation: B i.e Mercury